In facial view shape of incisors is
1. Trapezoid
2. Pentagonal
3. Wedge shaped
4. Triangular

Correct answer: 1. Trapezoid